Which of the following is an intermideiate level disinfectant -
1. 2% glutarldyhyde
2. Ethylene oxide
3. Hypoclorite
4. None

Correct answer: 3. Hypoclorite

Explanation: Ans. is 'c' i.e., Hypochlorite Categories of effective potencyo Sterilants are capable of completely eliminating or destroying in all forms of microbial life, including spores,o DisinfectantsDestroy some, but not necessarily all organisms. The category is further divided into subcategories:- i) High level disinfectants In their usual concentration and contact period, they destroy all microorganisms, with exception of high number of bacterial spores ( small number of spores can be destroyed). It is worth noting that at higher concentrations and prolonged contact period, high level disinfectant can act as steriliant. i.e. can kill high numbers of spores as well. Examples are :-2% gluteraldehyde, 8% formaldehyde, 6-10% hydrogen peroxide and ethylene oxide gas.ii) Intermediate level disinfectants :- Inactivate even resistant organisms such as mycobacterium tuberculosis as well as vegetative bacteria, most viruses and most fungi, but do not necessarily kill bacterial spores. Examples are :-0.5% iodine, 70-90% ethanol and isopropanol, chlorine compounds (hypochlorite), some phenolic compounds and iodophor based disinfectants.iii) Low level disinfectants kill most bacteria, some viruses and some fungi, but cannot be relied on to kill resistant microorganisms such as tubercular bacilli or bacterial spores. Examples are quarterly ammonium compounds, mercurials,some phenolic compounds and iodophores. Note:- the disinfectant levels of iodophors (iodines) and phenolic compounds may be classified as intermediate or low depending on the concentration employed.Levels of disinfectant ActivityLevel of activityBacteriaSporesFungiVirusesVegetativeTubercular Lipid medium sizeNonlipid & SmallHigh++++++Intermediate++-+++Low+--++-